Type-2 pulmonary epithelial cells secrete
1. Surfactant
2. Mucus
3. Heparin
4. Polypeptides

Correct answer: 1. Surfactant